The maximum motility of the colon is seen in
1. Ascending colon
2. Transverse colon
3. Descending colon
4. Sigmoid colon

Correct answer: 4. Sigmoid colon

Explanation: The maximum motility of the colon is seen in the sigmoid colon. The rate of BER at sigmoid colon is 6/min. Rate of basal electric rhythm in various regions Segment Rate of BER Stomach 4/min Duodenum 12/min Distal ileum 8/min Cecum 2/min Sigmoid 6/min Ref: Ganong's Review of medical physiology 26th edition Pgno: 486